Which of the following intrinsic muscle of tongue shortens the tongue
1. Genioglossus
2. Hyoglossus
3. Palatoglossus
4. None

Correct answer: 4. None

Explanation: The given options are extrinsic muscles of tongue. Superior and inferior longitudinal muscles are intrinsic muscles of tongue which shorten the tongue.